All of the following are the contents of deep perineal pouch, EXCEPT:
1. Bulbourethral glands
2. Sphincter urethra
3. Dorsal nerve of penis
4. Bulb of penis

Correct answer: 4. Bulb of penis

Explanation: Contents of the deep perineal pouch:Membranous part of the urethraSphincter urethraeBulbourethral glandsDeep transverse perineal musclesInternal pudendal vessels and their branchesDorsal nerves of the penis Ref: Clinical Anatomy By Regions By Richard S. Snell, 2011, Page 319.